Prolonged thumb sucking directly results in all of the following except:
1. Deep overbite
2. Proclination of upper centrals
3. Anterior open bite
4. Constriction of maxilla

Correct answer: 1. Deep overbite

Explanation: Effects on Maxilla

Proclination of maxillary incisors.
Increased arch length.
Increased anterior placement of apical base of maxilla.
Increase in SNA angle.
Increased clinical crown length of maxillary incisors.
Increased counter-clockwise rotation of occlusal plane.
Decreased width of palate. 
Atypical root resorption of primary central incisors.
Trauma to maxillary central incisors.
Constriction of maxilla.

Effects on Mandible 

Proclination of mandibular incisors.
Increased mandibular intermolar width.
More distal position of point B: Mandible is more distally placed relative to the maxilla.
Mandibular incisors experience a lingual and apical force.

Inter-arch Relationship 

Decreased inter-incisal angle
Increased overjet
Decreased overbite
Posterior open bite
Anterior open bite
Narrow nasal floor and high palatal vault.